Diagnostic method of choice for leptospirosis
1. MSAT
2. MAT
3. Cold agglutination test
4. Latex agglutination test

Correct answer: 2. MAT

Explanation: A definitive diagnosis of leptospirosis is based on: - * Isolation of the organism from the patient or * A positive result in the polymerase chain reaction (PCR) or * Seroconversion or a rise in antibody titer. (MAT) * In cases with strong clinical evidence of infection, a single antibody titer of 1:200-1:800 (depending on whether the case occurs in a low- or high-endemic area) in the microscopic agglutination test (MAT) is required. Ref:- Harrisons T.B of internal medicine 19th edition; pg num:- 1144